intermittent claudication is seen when ankle brachial index is ?
1. 0.9-1
2. <0.3
3. 0.5-0.9
4. >1.1

Correct answer: 3. 0.5-0.9

Explanation: 0.5-0.9 = intermittent claudication ref : bailey and love 27th ed